The most sensitive method to detect LD bodies is
1. Bone marrow aspiration
2. Splenic aspiration
3. Peripheral blood smear
4. Lymph node biopsy

Correct answer: 2. Splenic aspiration

Explanation: Splenic aspiration is the most sensitive method to detect LD bodies (98% positivity). Bone marrow aspiration and biopsy are positive in over 85% of cases. Lymph node aspiration is positive in 60% of cases of African kala-azar but not in cases of Indian kala-azar.